Mitochondria havea) Plasmid DNAb) Circular DNAc) Single stranded DNAd) Double stranded DNA
1. bd
2. d
3. ab
4. ac

Correct answer: 1. bd

Explanation: Mitochondrial DNA is small circular double stranded DNA molecule.